Which of the following cranical nerve does not contain parasympathetic motor (GVE) fibers?
1. III
2. VI
3. IX
4. X

Correct answer: 2. VI

Explanation: Ans. (B) VI(Ref: Katzung 10/e p75; KDT 8th/e pl05)Parasympathetic system is craniosacral in outflow. Cranial part involves III (oculomotor), VII (facial), IX (glossopharyngeal) and X (vagus) nerves whereas sacral portion includes S2 to S4.